Hansen's bacillus is cultured in:
1. L J medium
2. Robertson's cooked meat medium
3. Foot pad of mice
4. Sabraud's agar

Correct answer: 3. Foot pad of mice

Explanation: Ans. is. 'c' i. e., Foot pad of mice